Spinal anaesthesia should be injected into the space between –
1. T12 – L1
2. L1 – L2
3. L3 – L4
4. L5 – S1

Correct answer: 3. L3 – L4

Explanation: L2-3 or L3-4 intervertebral space is used in adult as adult spinal cord ends at lower border of L1 vertebrae.
L4-5 intervertebral space is used in children as spinal cord ends at lower border of L3 vertebrae in children.